Which of the following is not a cause of microcephaly?
1. Angelman syndrome
2. Taysach's disease
3. Rett's syndrome
4. Phenyl ketonuria

Correct answer: 2. Taysach's disease

Explanation: Primary causes of microcephaly in children are - Mnemonic - Cannot See PEFR in Children Cri-du-chat Syndrome Smith Lemli Optiz Syndrome Patau syndrome Edward syndrome Familial Rubinstein Taybi syndrome Cornelia de Lange syndrome Also Know Acquired MIcrocephaly Q R - Rett's syndrome A - Angelmann Syndrome S - Seckel syndrome Also know some important causes of macrocephaly * Taysach's * MPS * Ganghosidosis * Sotos - Fragile x syndrome - Alexander disease - Canavan disease - Neuro cutaneous syndromes